Glycine can be synthesized from all, EXCEPT:
1. Choline
2. Serine
3. Alanine
4. None of the above

Correct answer: 4. None of the above

Explanation: Glycine aminotransferases can catalyze the synthesis of glycine from glyoxylate and glutamate or alanine. Unlike most aminotransferase reactions, these strongly favor glycine synthesis. Additional important mammalian routes for glycine formation are from choline and from serine Ref: Harper 28th edition, chapter 27.